Which of the following is used to assess disability in migraine?
1. MIDAS
2. MMSE
3. EDSS
4. ETDRS

Correct answer: 1. MIDAS

Explanation: MIDAS Questionnaire is used for assessment of disability in migraine Disease Scores Migraine Disability Assessment Score MIDAS Screening tool for Dementia MMSE Used for Diabetic Retinopathy study ETDRS Used in Multiple Sclerosis EDSS